Myodesis is employed in amputations for all of the following indications except:
1. Trauma
2. Tumor
3. Children
4. Ischemia

Correct answer: 4. Ischemia

Explanation: D i.e. Ischemia: * Myodesis is contraindicated in cases of severe dysvascularity (ischemic limb) in which blood supply to the muscle appears compromised for fear of damaging the already precarious blood supply.* Myodesis should not be performed when vascularity is compromised (Ischemia) In Myodesis the residual musculature is stitched to the bone such that it retains the ability to developtension. This helps in achieving structurally stable residual limbs and to reduced atrophy. Myodesis is not preferred in ischemic limbs for fear of damaging the already precarious blood supply.* Myodesis may be used in children (Kulkarni 2nd/3909) 'When amputation is performed in children, the bone may overgrow the muscles and protrude under the skin (stump overgrowth). To prevent this myodesis must be preferred at the time of amputation which will stimulate the muscles to grow along with the bone'. * Myodesis may be used in Amputation for Tumors & Trauma Maximum preservation of stump length and the use of reconstructive techniques such as myodesis and myoplasty are ofparticular importance.